Which of the following drug does not affect GABAA gated chloride channel ?
1. Muscimol
2. Alcohol
3. Picrotoxin
4. Buspirone

Correct answer: 4. Buspirone